The following statements regarding methylxanthines are true except:
1. It enhances the receptor - mediated actions of adenosine
2. It can enhance water and electrolyte excretion
3. It can relax bronchial smooth muscles
4. Long-term ingestion can produce tolerance and physical dependence

Correct answer: 1. It enhances the receptor - mediated actions of adenosine

Explanation: Methyl xanthines inhibit cyclic nucleotide phosphodiesterases and can antagonize receptor-mediated actions of adenosine.
Long-term ingestion of methyl xanthines can produce tolerance and physical dependence.
It can relax various smooth muscles including the bronchial muscles.
It increases glomerular ﬁltration rate and increases the excretion of electrolytes and water.